Which of the following will you like to give to a pregnant patient to decrease the risk of neural tube defects in the offspring, if your patient is receiving antiepileptic drugs ?
1. Folic acid
2. Vitamin A
3. Vitamin E
4. Pyridoxine

Correct answer: 1. Folic acid